Branched chain ketoacid decarboxylation is defective in
1. Maple Syrup urine disease
2. Hartnup disease
3. Alkaptonuria
4. GMI Gangliosidosis

Correct answer: 1. Maple Syrup urine disease

Explanation: Maple syrup urine disease is due to deficiency of the enzyme branched chain α-keto dehydrogenase which catalyzes decarboxylation of branched - chain amino acid.